Most important factor in convergence of light rays on retina is
1. Length of eye ball
2. Dioptre power of lens
3. Centre of lens
4. Cornea

Correct answer: 4. Cornea

Explanation: Convergence of light rays on retina is due to cornea Ref khurana 6/e